All of the following are methods of sewage disposal except
1. River outfall
2. Land treatment
3. Oxidation ponds
4. Bangalore method (composting)

Correct answer: 4. Bangalore method (composting)

Explanation: Sewage is waste-water from a community, containing solid and liquid excreta, derived from houses, street and yard washings, factories, and industries. It resembles dirty water with an unpleasant smell. Modern sewage treatment plants are now available for sewage purification based on biological principlesOther methods of sewage disposal Sea outfallRiver outfallLand treatmentOxidation pondsOxidation ditchesRef: Park; 23rd ed; Pg 765